Which one of the following serum levels would help in distinguishing an acute liver disease from chronic liver disease
1. Aminotransaminase
2. Alkaline phosphatase
3. Bilirubin
4. Albumin

Correct answer: 4. Albumin

Explanation: Answer- D. AlbuminSerum albumin has a long half life 15-20 days with approximately 4% degraded per day